Esophageal atresia may occur as a part of VACTERL group of anomalies. What does 'TE' stand for?
1. Tetralogy of Fallot
2. Thoracic empyema
3. Tracheo-esophageal fistula
4. Talipes equinovarus

Correct answer: 3. Tracheo-esophageal fistula

Explanation: VACTERL association (also called VATER association) : Vertebral anomalies Anal atresia Cardiac defects Tracheoesophageal fistula and/or Esophageal atresia Renal and Radial anomalies Limb defects.